All are supplied by Ansa cervicallis except -
1. Thyrohyoid
2. Sternothyroid
3. Sternohyoid
4. Inferior belly of omohyoid

Correct answer: 1. Thyrohyoid